Plusating tumours include all except
1. Bone sarcoma
2. Osteoclastoma
3. Secondaries from hypernephromas
4. Secondary from prostate

Correct answer: 4. Secondary from prostate